In humans, the genetic code is represented by code of three nucleotides. If one amino acid is coded 1), more than one triplet, then this is known as
1. Degeneracy
2. Frame-shift mutation
3. Ambiguity
4. Mutation

Correct answer: 1. Degeneracy

Explanation: Ans. a. DegeneracyDegeneracyDegeneracy is the redundancy of the genetic codeQThe genetic code has redundancy but no ambiguityQThe codons encoding one amino acid may differ in any of their three positionsQDegeneracyThere are three amino acids encoded by six different codons: serine, leucine and arginineQOnly two amino acids are specified by a single codonQOne of these is the amino-acid methionine, specified by the codon AUG, which also specifies the start of translation; the other is tryptophan, specified by the codon UGGQThe degeneracy of the genetic code accounts for the existence of synonymous mutationsQDegeneracy results because there are more codons than encodable amino acidsQCodonInitiation codon is AUG (Methionine)QTermination codons: UAA (Ochre), UAG (Ambre), UGA (Opal)Q